which of the following tricyclic antidepressent used for peripheral neuropathy
1. amitriptilline
2. clomipramine
3. fluoxetine
4. imipramine

Correct answer: 1. amitriptilline

Explanation: TCA * MECHANISM This is an antidepressant with three rings. It acts by blocking the transporters of neurotransmitters resulting in increased neurotransmitters in synapse DRUGS AMITRYPTILLINE IMIPRAMINE CLOMIPRAMINE DESIPRAMINE NORIPTILLINE DOXEPINE * USE AMITRYPTILLINE========PAIN WITH DEPRESSION IMIPRAMINE==========CHILDHOOD ENEURESIS CLOMIPRAMINE========OCD * SIDE EFFECTS ANTI HISTAMINERGIC==== sedation, weight gain ANTI MUSCURANIC=======dryness of mouth ANTI ADRENERGIC========hypotension, giddiness SWITCH TO MANIA when used in BIPOLAR DEPRESSION REf. kaplon and Sadock,synopsis of psychiatry, 11 th edition,pg no. 955